Defluoridation of water is carried out using:
1. Chlorine
2. Phosphate
3. Calcium
4. Ozone

Correct answer: 2. Phosphate

Explanation: Some areas may contain excessive fluoride levels in drinking water. Defluoridation is carried out using phosphates. Ref: Park 21st edition page: 672.